A 25 year old male presents with multiple erythematous annular plaques with peripheral collarette of scales arranged predominantly over trunk. What is the most probable diagnosis?
1. Pityriasis versicolor
2. Pityriasis rubra pilaris
3. Pityriasis rosea
4. Pityriasis lichenoides chonica

Correct answer: 3. Pityriasis rosea

Explanation: Pityriasis Rosea is a self limiting papulosquamous dermatoses of unknown aetiology characterised by Herald patch, annular plaque with peripheral collarette of scales on the trunk and secondary lesions arranged in Christmas tree/fir tree appearance. Treatment is usually symptomatic. It resolves in about 8-10 weeks. Ref: Illustrated Synopsis of Dermatology and STD's By Neena Khanna, Pages 50-51